Length of human intestine is about ?
1. 5 meter
2. 8 meter
3. 12 meter
4. 15 meter

Correct answer: 2. 8 meter

Explanation: Ans. is 'b' i.e., 8 meterLength of human intestine is 7.5 meter to 8.5 meter :-Small intestine -6 to 7 meterLarge intestine - 1-5 meter